Twin Peak sign is characteristic of
1. Dichorionic Diamniotic
2. Monochorionic Diamniotic
3. Monochorionic Monoamniotic
4. Conjoined twins

Correct answer: 1. Dichorionic Diamniotic

Explanation: Determination of ZygositySonographic Determination:ChorionicityDividing inter-twin membrane thicknessSignDichorionicity> 2mmTwin peak sign or Lambda signMonochorionicity< 2mmT signReference: William's Obstetrics; 25th edition; Chapter 45; Multifetal pregnancy